Verocay bodies are seen in:
1. Meningioma
2. Hemangioma
3. Glioma
4. Schwannoma

Correct answer: 4. Schwannoma

Explanation: Microscopically, schwannomas they are comprised of an admixture of dense and loose areas referred to as Antoni A and Antoni B areas, respectively. The dense eosinophilic Antoni A areas often contain spindle cells arranged into cellular intersecting fascicles. Palisading of nuclei is common and "nuclear-free zones" that lie between the regions of nuclear palisading are termed Verocay bodies.